Warrant cases are punishable with imprisonment:
1. More than 1 year
2. More than 2 years
3. Less than 1 year
4. Less than 2 years

Correct answer: 2. More than 2 years

Explanation: Ans. More than 2 years